PKF-I Inhibitor
1. AMP
2. Citrate
3. Glucose 6 phosphate
4. Insulin

Correct answer: 2. Citrate

Explanation: Phosphofructokinase (PFK) (step 3) of glycolysis is the most important rate-limiting enzyme for glycolysis pathway. ATP and citrate are the most important allosteric inhibitors. AMP acts as an allosteric activatorRef: DM Vasudevan, Page no: 98